A patient presented with anaphylactic reactions developed angioedema. Drug of choice for treating this condition is:
1. Adrenaline
2. Corticosteroid
3. Antihistaminics
4. Sodium chromoglycate

Correct answer: 1. Adrenaline

Explanation: Patients with immediate hypersensitivity (histamine-mediated) reactions are managed with epinephrine, antihistamines and corticosteroids. The syndrome of bronchospasm, mucous membrane congestion, angioedema, and severe hypotension usually responds rapidly to the parenteral administration of epinephrine, 0.3-0.5 mg (0.3-0.5 mL of a 1:1000 epinephrine solution). Ref: Biaggioni I., Robertson D. (2012). Chapter 9. Adrenoceptor Agonists & Sympathomimetic Drugs. In B.G. Katzung, S.B. Masters, A.J. Trevor (Eds), Basic & Clinical Pharmacology, 12e.